Under NPCB,screening of school children is first done by
1. School teacher
2. ASHA
3. Medical officer
4. Opthalmic assistant

Correct answer: 1. School teacher

Explanation: SCHOOL EYE SCREENING PROGRAMME :(According to NPCB) 6-7 per cent of children aged 10-14 years have problem with their eye sight affecting their learning at school. Children are being first screened by trained teachers. Children suspected to have refractive error are seen by ophthalmic assistants and corrective spectacles are prescribed or given free for persons below poverty line. Ref: Park's Textbook of Preventive and Social Medicine 25 th Edition Pgno : 458